Veins draining into portal vein are all except:
1. Renal vein
2. Para umbilical vein
3. Right gastric vein
4. Cystic vein

Correct answer: 1. Renal vein

Explanation: Tributaries of Portal vein: Mnemonic: Paraumbilical veins. Right gastric vein. Splenic vein. Superior mesenteric vein. Superior pancreatico-duodenal vein. Left gastric vein.